Measurement of all proteins expressed in cell or tissue is
1. Epigenetics
2. Genomics
3. Proteomics
4. Knockdown technology

Correct answer: 3. Proteomics

Explanation: Geomics - Study of all DNA sequences.
Epigenetics - heritable changes in gene expression that are not caused by alteration in DNA sequence.